Febrile seizure most common - age groups-
1. 1 month to 1 year
2. 6 month to 5 year
3. 6 month to 2 year
4. 2 month to 5 year

Correct answer: 2. 6 month to 5 year

Explanation: Ans. is 4b' i.e., 6 month to 5 year o Febrile convulsion :-Commonest provoked seizureBetween 6 months to 5 yearNeurologicallv normal childOccurs when temp rise abruptlySimple benign febrile convulsionFits occur within 24 hour of onset of fever.Duration less than 10 min.Usually single per febrile episodeGeneralised type of convulsionAtypical febrile seizuresPresence of family history of epilepsyNeurodevelopmental retardationFocal neurological deficit.